If a fibrinolytic drug is used for the treatment of acute myocardial infarction, the adverse effect most likely to occur is:
1. Acute renal failure
2. Development of antiplatelet antibodies
3. Encephalitis secondary to liver dysfunction
4. Hemorrhagic stroke

Correct answer: 4. Hemorrhagic stroke

Explanation: Bleeding is the most common adverse effect of anticoagulants, antiplatelets and fibrinolytic agents. Bleeding can manifest as hemorrhagic stroke in pts. on fibrinolytics therapy such as- Alteplase, Retaplase, Streptokinase. C/I of Fibrinolytics :- H/O Hemorrhagic Stroke H/O NON Hemorrhagic Stroke (within 1yr) Suspicion of aortic dissection Marked hypertension (SBP>180mm Hg and DBP>110mm Hg) Active internal bleed (Excluding menses)